Waist to hip ratio that increases risk of heart disease is?
1. > 0.80 in male
2. > 0.80 in female
3. > 0.85 in male
4. > 0.85 in female

Correct answer: 4. > 0.85 in female

Explanation: Waist to hip ratio that increases risk of heart disease for male is > 1 Waist to hip ratio that increases risk of heart disease for female is > 0.85